All of the following 'Reforms' have been proposed by the world health report (2008), EXCEPT:
1. Service Reforms
2. Leadership Reforms
3. Policy Reforms
4. Economic Reforms

Correct answer: 4. Economic Reforms

Explanation: The World Health Report 2008 lists four sets of PHC (Primary Health Care) Reforms which are necessary to refocus health systems towards health for all. These are universal coverage reforms, service delivery reforms, public policy reforms and leadership reforms. Economic reforms are not included in this report. Ref: The World Health Report 2008: Primary Health Care: Now More Than Ever, World Health Organization 2008, Page xvi